Co-receptor for R5 variant of HW virus:
1. Integrin
2. CCR 5
3. CXCR 4
4. P 53

Correct answer: 2. CCR 5

Explanation: Ans. b. CCR5